HLA marker of Behcet's syndrome is?
1. B27
2. DR5
3. B51
4. CW6

Correct answer: 3. B51

Explanation: Robbins and Cotran pathologic basis of disease South Asia edition. *Behcet's syndrome is a small to medium vessel neutrophylic vasculitis characterised by triad of aphthous ulcer,genital ulcer and uveitis.there is association with HLA B51 in particular.